Property of the material, which describes the resistance to abrasion is:
1. Hardness
2. Yield strength
3. Modulus of elasticity
4. None of the above

Correct answer: 1. Hardness

Explanation: HARDNESS
Except for comparing one material with another, this term is difficult to define. In mineralogy, the relative hardness of a substance is based on its ability to resist scratching. In metallurgy and most other disciplines, the concept that is most generally accepted is that of “resistance to indentation.” It is on the basis of this process that most modern hardness tests are designed.
Reference: PHILLIPS’ SCIENCE OF DENTAL MATERIALS, 12th ed page no 63